Pre-treatment evaluation for lithium therapy should include -
1. Fasting blood sugar
2. Serum creatinine
3. Liver function tests
4. Platelet count

Correct answer: 2. Serum creatinine

Explanation: Ans. is 'b' i.e., Serum creatinine Pretreatment evaluation for Lithium therapy o Serum creatinine (or 24 hour urine creatinine) o Thyroid function (T3, T4, TSH) o ECG o Electrolytes o Complete blood count o Pregnancy test